Tonic neck relfex is lost in lesion of -
1. Cerebral cortex
2. Midbrain
3. Medulla
4. Spinal cord

Correct answer: 3. Medulla

Explanation: Ans. is 'c' i.e., Medulla